The following is not a feature of pierre - Robin syndrome -
1. Hearing defect
2. Coloboma Iris
3. Respiratory distress
4. Mandibular hypoplasia

Correct answer: 2. Coloboma Iris

Explanation: Ans. is 'b' i.e., Cloboma iris Pierre Robin syndrome consists of - Micrognatnia Fore shortened floor of mouth CHDs Cleft palate or high arched palate Mandibular hypoplasia (Micrognathia) Respiratory obstruction Normal size tongue